Which of the following statements is false regarding Japanese Encephalitis -
1. Transmitted by culex mosquitoes
2. Water tanks serve as breeding sites
3. Pigs are amplifiers
4. Two dose of vaccine

Correct answer: 2. Water tanks serve as breeding sites

Explanation: The rice fields are probably the most important breeding places. Reference:Park's textbook of preventive and social medicine,K.Park,23rd edition,page no:285.